The best radiographic projection for viewing maxillary sinus :
1. Submentovertex
2. PA view
3. Waters view
4. Towne's projection

Correct answer: 3. Waters view